An isograft indicates transfer of tissues between:
1. Related donors
2. Monozygotic twins
3. Parts of same individual
4. Unrelated donors

Correct answer: 2. Monozygotic twins